Greater than 30 g of fat is excreted in feces per day. The cause is
1. Exocrine pancreatic insufficiency
2. Rapid transient diarrhea
3. Small intesitnal disease
4. Normal

Correct answer: 1. Exocrine pancreatic insufficiency

Explanation: (A) Exocrine pancreatic insufficiency # Steatorrheal causes:> Intraluminal maldigestion (pancreatic exocrine insufficiency, bacterial overgrowth, bariatric surgery, liver disease)> Mucosal malabsorption (celiac sprue, Whipple's disease, infections, abetalipoproteinemia, ischemia)> Postmucosal obstruction (1deg or 2deg lymphatic obstruction)> Quantitatively, steatorrhea is defined as stool fat exceeding the normal 7 g/d; rapid-transit diarrhea may result in fecal fat up to 14 g/d; daily fecal fat averages 15-25 g with small intestinal diseases and is often >32 g with pancreatic exocrine insufficiency. Intraluminal maldigestion, mucosal malabsorption, or lymphatic obstruction may produce steatorrhea.> Steatorrhea is a condition characterized by the loss of lipids in the feces. Steatorrhea may be due to1. A defect in the secretion of bile or pancreatic juice into the intestine;2. Impairment in the lipid absorption by the intestinal cells.> Steatorrhea is commonly seen in disorders associated with pancreas, biliary obstruction, severe liver dysfunction etc.